Eosinophillia is found in?
1. Cryptococcus
2. HPV
3. Stronglyloides
4. Typhoid

Correct answer: 3. Stronglyloides

Explanation: Ans. (c) Stronglyloides(Ref: dacie and lewis practical ematology, 11th ed, pg 102)Moderate eosinophilia occurs in allergic conditions; more severe eosinophilia (20-50x109/L) may be seen in parasitic infections